Joint erosions are not a feature of -
1. Rheumatoid arthritis
2. Psoriasis
3. Multicentric reticulohistiocytosis
4. Systemic lupus erthematosus

Correct answer: 4. Systemic lupus erthematosus